Age criteria for JRA -
1. < 10 yrs.
2. < 12 yrs.
3. < 14 yrs.
4. < 16 yrs.

Correct answer: 4. < 16 yrs.

Explanation: Ans. is 'd' i.e., < 16 yrs.